Indirect pulp therapy:
1. Removes all the layers of carious dentin
2. Removes all the bacteria from carious lesion
3. Is successful With teeth having clinical evidence of pulpal or periapical pathosis
4. Is dependant on remineralisation of affected dentin and reparative dentin formation

Correct answer: 4. Is dependant on remineralisation of affected dentin and reparative dentin formation